Sine wave pattern in E.C.G is seen in-
1. Hypokalemia
2. Hyperkalemia
3. Hyponatremia
4. Hypermatremia

Correct answer: 2. Hyperkalemia

Explanation: Classically, the electrocardiographic manifestations in hyperkalemia progress from tall peaked T waves (5.5-6.5 mM), to a loss of P waves (6.5-7.5 mM) to a widened QRS complex (7.0-8.0 mM), and, ultimately, a to a sine wave pattern (>8.0 mM). REF: HARRISON, 19e, Pg 310